All are the components of Horner's syndrome except:
1. Miosis
2. Ptosis
3. Anhidrosis
4. Exophthalmos

Correct answer: 4. Exophthalmos

Explanation: Ans. D. ExophthalmosHorner's syndrome, also known as oculosympathetic paresis, is a combination of symptoms that arises when a group of nerves known as the sympathetic trunk is damaged. The signs and symptoms occur on the same side (ipsilateral) as it is a lesion of the sympathetic trunk. It is characterized by miosis (a constricted pupil), partial ptosis (a weak, droopy eyelid), apparent anhydrosis (decreased sweating), with apparent enophthalmos (inset eyeball).